All are constituents of soda-lime except
1. Ca(OH)2
2. Ba(OH)2
3. Silica
4. Moisture

Correct answer: 2. Ba(OH)2

Explanation: Sodalime constitutes a mixture of 95% Ca(OH)2, 5%NaOH, 1% KOH. Ba(OH)2 is a component of Beralime.